All are affected in Graft-Versus host reaction except?
1. Skin
2. G.I.T.
3. Liver
4. Lung

Correct answer: 4. Lung

Explanation: Acute GVHD causes epithelial cell necrosis in three principal target organs liver,skin,gut Reference:Robbins basic pathology 9th edition pg no 139: